What is the mid upper arm circumference - cut off value for malnutrition of a child:
1. 12.5cm
2. 10.5cm
3. 14.5cm
4. 9.5cm

Correct answer: 1. 12.5cm

Explanation: Ans. (a) 12.5cmRef : OP Ghai 8th ed./97* Mid arm circumference is measured by a Field instrument -> Shakir's tape* Among age group: 1-5 yrs* <12.5 cm shows severe malnutrition